Indication of systemic steroids in rheumatoid arthritis is -
1. Mononeuritis multiplex
2. Carpul tunnel syndrome
3. Presence of defomities
4. Articular cartilage involvement

Correct answer: 1. Mononeuritis multiplex